Micronodular cirrhosis is commonly seen in all except:
1. Chronic hepatitis B
2. Alcoholic liver disease
3. Hemochromatosis
4. Chronic extrahepatic biliary obstruction

Correct answer: 1. Chronic hepatitis B

Explanation: Answer is A (chronic Hepatitis B) Chronic viral hepatitis including Chronic Hepatitis B is associated with macronodular Cirrhosis and not micronodulai cirrhosis. Alcohol, hematochromatosis and large bile duct obstruction are all associated with micronodular cirrhosis. Morphological Classification of Cirrhosis Macronodular Cirrhosis (Parenchymal nodules > 3mm) Micronodular Cirrhosis (Parenchymal nodules < 3mm) Aetiology Frequency Aetiology Frequency * Chronic viral hepatitis 10-20% * Alcohol 60-70% * Wilson 's disease Rare * 'Primary' biliwy cirrhosis 5% * a-Antittypain deficiency Rare * Large bile duct obstruction <5% * Various drugs and toxins Rare * Haemochromatosis 5% * Hereditary haemorrhagic Rare * Intestinal bypass Rare telangiectasis * Cystic fibrosis Rare * Coptogenic cirrhosis Common * Indian childhood cirrhosis Rare